Apicoectomy is indicated in which one of the following cases?
1. Persistent positive results of root canal culture for microorganisms
2. Incomplete obturation in apical part of root canal with persistent infection
3. Fracture of apical one-third area of root in a vital asymptomatic tooth
4. Presence of a minor pulp stone in pulp chamber

Correct answer: 2. Incomplete obturation in apical part of root canal with persistent infection